In plasmodium falciparum the number of cycles, the parasite undergoes in the liver is -
1. 0
2. 1
3. 2
4. 3

Correct answer: 2. 1